Organelle that plays a pivotal role in apoptosis ?
1. Endoplasmic reticulum
2. Golgi complex
3. Mitochondria
4. Nucleus

Correct answer: 3. Mitochondria

Explanation: Ans. is 'c' i.e. Mitochondriao Mitochondria are the most important organelles involved in apoptosis initiation and regulation. Significant changes can be observed in mitochondrial physiology and morphology during apoptosis.